Which of the following true about burns?
1. 4th degree burns should not be washed with water
2. Early skin grafting gives better results
3. Face burns should never be left open
4. Silver sulfadiazine is painful on application

Correct answer: 2. Early skin grafting gives better results

Explanation: Burns always should be washed.
Face burns can left open with Silver sulfadiazine application.
Mafenide acetate is painful on application.